Metronidazole is effective in all of the following conditions except -
1. Pseudomembranous colitis
2. Neurocysticercosis
3. Giardiasis
4. Amebic liver abscess

Correct answer: 2. Neurocysticercosis

Explanation: Ans. is 'b' i.e., Neurocysticercosis